Population growth is said to be explosive when growth rate is
1. < 0.5
2. 0.5 - 1
3. 1 - 1.5
4. > 2

Correct answer: 4. > 2

Explanation: When crude death rate is substracted from crude birth rate , the net residual is current annual grow rate exclusive of migration When the annual growth rate is > 2%, the population growth is said to be explosive Reference: Park's textbook of preventive and social medicine, 23rd edition, Page no: 481